In a surgical post-op ward, a patient developed wound infection. Subsequently 3 other patients Developed similar infections in the ward. What is the most effective way of preventing the spread of infection?
1. Give IV antibiotics to all patients in the ward
2. Proper hand washing of all ward personnel
3. Fumigation of the ward
4. Wash OT instruments with 1% perchlorate

Correct answer: 2. Proper hand washing of all ward personnel

Explanation: Ans. (b) Proper hand washing of all ward personnelAvoidance of Surgical Site infections between the patients:* Staff should wash in between the patients* Length of stay must be kept to minimum* Preoperative shaving may be avoided if possible or must be done immediately before operation.* Antiseptic Skin preparation should be standardized.* Sterile technique in theatre.* Avoid hypothermia preoperatively and supplement oxygen during recovery.